Use of aspirin in a diabetic patient can result in :
1. Hyperglycemia
2. Hypoglycemia
3. Ketoacidosis
4. Alkalosis

Correct answer: 2. Hypoglycemia